A person is very impatient, competitive and works like a perfectionist. He or she can be best described as
1. Type A personality
2. Type B personality
3. Type C personality
4. Type D personality

Correct answer: 1. Type A personality

Explanation: Type A personality is characterized by competitive, hardworking, time bound & impatient behaviour.